Which is a Chemoattractant -
1. C5a
2. Cl
3. C3
4. C2

Correct answer: 1. C5a

Explanation: Ans-C5a* Major opsonins: C3b, IgG, mannose-binding lecithin (MBL), fibronectin, fibrinogen, and CRP.* Membrane attack complex: MAC has a subunit composition of C5b, C6, C7fC8, and polymeric C9* Anaphylatoxin: Both C3a and C5a anaphylatoxin activity.